Following are the examples of apoptosis except:
1. Graft versus host disease
2. Menstrual cycle
3. Pathological atrophy following duct obstruction
4. Tumour necrosis

Correct answer: 4. Tumour necrosis

Explanation: Ans. D: Tumour necrosis